Which of the following drug is contraindicated in osteosarcoma?
1. Denosumab
2. Bisphophonates
3. Teriparatide
4. Salcatonin

Correct answer: 3. Teriparatide

Explanation: Teriparatide stimulates osteobalsts and hence contraindicated in Osteosarcoma and Paget's disease.